Sinus which is not present at birth is?
1. Maxillary sinus
2. Ethmoid sinus
3. Frontal sinus
4. All of the above

Correct answer: 3. Frontal sinus

Explanation: Ans. is'c'i.e., Frontal sinus